Ten readings of BP taken before and after treatment is studied by -
1. Paired 't' test
2. 'Z' test
3. Students `t' test
4. Correlation test

Correct answer: 1. Paired 't' test